Which of the following is not a component of fatty acid synthase complex:
1. Enoyl reductase
2. Acetyl transacylase
3. Acetyl-CoA carboxylase
4. Ketoacyl synthase

Correct answer: 3. Acetyl-CoA carboxylase

Explanation: Fatty Acid Synthase Complex have 6 enzymatic activities 1. Enoyl reductase 2. Keto acyl reductase 3. Keto acyl synthase 4. Thioesterase 5. Hydratase 6. Acetyl malonyl transacylase It does not contain Acetyl-CoA carboxylase. Acetyl CoA carboxylase is involved in fatty acid synthesis as it causes conversion of Acetyl CoA to Malonyl CoA but it is not the component of fatty acid synthase complex